Kaposi varicelliform lesions is seen in
1. Varicella zoster
2. Darriers disease
3. Lichen planus
4. Lichen nitidus

Correct answer: 2. Darriers disease

Explanation: Kaposi varicelliform lesions is seen in Darier's disease. Kaposi varicelliform eruption is super-infection of an existing dermatosis by herpes simplex virus (Ref: Fitzpatrick 8th edn pg 555)